MAO inhibitors are contra-indicated in all the following conditions EXCEPT:
1. With tricyclic antidepressants
2. With indirectly acting sympathomimetics
3. Cheese
4. Aspirin

Correct answer: 4. Aspirin

Explanation: (Ref: KDT 6/e p458, 459) In first three conditions mentioned in the question, MAO inhibitors will lead to hypertensive crisis but these drugs do not interact with aspirin.